Dissociative Fugue is characterised by
1. Wandering away from home
2. Irreversible amnesia
3. Gradual recovery
4. Normal recall

Correct answer: 1. Wandering away from home

Explanation: Dissociative Disorders result after emotional trauma, conflicts over unacceptable urges or impulses Dissociative Identity Disorder*: multiple personality disorder, alters, the self-states presence of two or more distinct identities or personality states that recurrently take control of the individual's behavior accompanied by an inability to recall important personal information that is too extensive to be explained by ordinary forgetfulness. Dissociative Amnesia*: an inability to recall important personal information, usually of a traumatic or stressful nature, that is too extensive to be explained by normal forgetfulness. Dissociative Fugue*: sudden, unexpected travel away from home or one's customary place of daily activities, with the inability to recall some or all of one's past, accompanied by confusion about personal identity or even the assumption of a new identity. Depersonalisation, Derealization Reference: P.666 chap 20.Dissociative DisordersKaplan & Sadock's Synopsis of Psychiatry: Clinical Psychiatry, 10th Edition